Ranson's critaria for prognosis in acute pancreatitis include all except :
1. WBC>16,000 cells/cumm
2. Age over 55 years
3. AST > 250 U/100 ml
4. S. amylase > 350 I.U.

Correct answer: 4. S. amylase > 350 I.U.

Explanation: Answer is D (Serum amylase > 350 1U) Serum amylase does not form any cirteria for prognosis in acute pancreatitis. (Remember this fact) Therefore, if amylase is present as any of the options, you can easily and safely exclude it.!! Ranson's criteria for prognosis in acute pancreatitis include :(Adverse factors) At the time of Admission During initial 48 hours 1. Age > 55 yearsQ 1. Fall in haematocril > 10% 2. Leucocytosis > 16.000/,u1 2. Fluid deficit > 4000 ml 3. Hyperglycemia > 200 mg/dl Hypocalcemia < 8 mg/d1Q 4. Serum LDH > 400 IU/L 4. Hypoxemia < 5mg/d1 5. Serum AST > 250 1U/L 5. Increased BUN > 5mg/d1 6. Hypoalbuminemia < 3.2 g/dl